Enzyme alglucerase is used in the treatment of ?
1. Gaucher's disease
2. Galactosemia
3. Niemann Pick disease
4. Pompe's disease

Correct answer: 1. Gaucher's disease

Explanation: Ans. is 'a' i.e., Gaucher's diseaseAlglucerase (ceredase) is used in the treatment of Gaucher's disease.